Fundoscopic features of papilledema include all the following except
1. Ill-defined disc margin
2. Deep physiological cup
3. Absent venous pulsation
4. Bending of blood vessels

Correct answer: 2. Deep physiological cup

Explanation: B. i.e. Deep physiological cup Deep physiological cupQ on fundoscopy is seen in glucoma; where as in papilloedema, there is bluring of margins of optic disc (Pt sign) & reduction in size of physiological cup.Q